All can take split thickness graft except -
1. Fat
2. Muscle
3. Skull bone
4. Deep fascia

Correct answer: 3. Skull bone

Explanation: "The skin graft must be applied to a well-vascularized recipient wound bed. It will not adhere to exposed bone, cartilage, or tendon devoid of periosteum, perichendrium or peritenon, respectively, or devoid of its vascularized perimembranous envelope." - Sabiston 17/e p 2185